Most Common cardiac tumor in childhood ?
1. Rhabdomyoma
2. Lymphoma
3. Atrial myxoma
4. Sarcoma

Correct answer: 1. Rhabdomyoma

Explanation: Most Common primary cardiac tumor in infancy and childhood is Rhabdomyoma. Ref : Harrison principals of internal medicine, 19th edition,chapter289e,p.no:1577